Which is true regarding ataxia telangiectasia:
1. Increase in AFP
2. Increases the risk of squamous cell carcinoma
3. Autosomal dominant
4. None of above

Correct answer: 1. Increase in AFP

Explanation: Increase in alpha-fetoprotein is observed in Ataxia telangiectasia * Ataxia-telangiectasia / Ataxia-telangiectasia syndrome / Louis-Bar syndrome * Rare, neurodegenerative, autosomal recessive disorder causing severe disability. * Ataxia refers to poor coordination; Telangiectasia refers to small dilated blood vessels. * Parts affected: * Cerebellum - movement & coordination difficulties * Immune system - Predisposing to infections. * Genetic repair system - Preventing process for repairing DNA - Cancer risk * Features: * Increased incidence of lymphoma & Leukemia * Increased alpha-Fetoprotein levels * Oculomotor apraxia (difficulty in coordination between head & eye movements) * Dysarthria REF: HARRISONS 21ST ED